Central gas supplies may be located at all of the following places except:-
1. Inside in a special room used only for this purpose
2. Outdoors
3. In an enclosure
4. In a non sterile area in the operational theatre

Correct answer: 4. In a non sterile area in the operational theatre

Explanation: The manifold should be housed in a well-ventilated room built from fire-proof material, either brick or concrete, away from the main building of the hospital. The manifold room should not be used as a general cylinder store. It should ideally be located to enable the access of the delivery vehicles to prevent manhandling of the cylinders for long distances. The room should be well-lit, temperature-controlled at 10-40degC and should have sufficient warning signs on the outside and inside of the building. All empty cylinders should be removed immediately from the manifold room. Only trained persons should be permitted to change cylinders and an activity log should be completed when cylinders are changed.